Which of the following abnormality is seen in first-degree heart block?
1. PR interval >140ms
2. PR interval >160ms
3. PR interval >180ms
4. PR interval >200ms

Correct answer: 4. PR interval >200ms

Explanation: First-degree AV block (PR interval >200 ms) is a slowing of conduction through the AV junction. All p waves will be followed by QRS complexNormal PR interval 120-200msHarrison 19e pg: 1472